Long term steroid therapy can lead to suppression of hypothalamic-pituitary-adrenal axis. lt can be overcome by using alternate day therapy with corticosteroids. Which of the following steroids are unsuitable for alternate day therapy for such purpose?
1. Cortisol
2. Prednisolone
3. Betamethasone
4. Hydrocortisone

Correct answer: 3. Betamethasone

Explanation: (Ref: KDT 6/e p282, 287) Steroids with long half life like betamethasone and dexamethasone cannot be used for alternate day therapy because even in alternate day therapy there will be sufficient blood levels of these steroids to cause suppression of HPA axis.